Vertical crest in fundus of the internal auditory canal is known as:
1. Bill's bar
2. Ponticulus
3. c, Cog
4. Falciform crest

Correct answer: 1. Bill's bar

Explanation: Ans. a. Bill's bar Vertical crest in fundus of the internal auditory canal is known as Bill's bar."Vertical crest in fundus of internal auditory canal is known as Bill's-barand it is used as a surgical landmark for facial nerve identification. Grays 40/e p636